LH variant of RS cells are seen in?
1. Nodular sclerosis subtype
2. Lymphocyte rich
3. Lymphocyte depleted
4. Lymphocyte predominant

Correct answer: 4. Lymphocyte predominant

Explanation: Condition Type of RS cells Nodular sclerosis Lymphocyte depleted Lymphocyte predominant Lacunar Pleomorphic Popcorn or LH cell